Lacis cells are found in:
1. Brain
2. Liver
3. Kidney
4. None of the above

Correct answer: 3. Kidney

Explanation: The renin in kidney extracts and the bloodstream is produced by the juxtaglomerular cells (JG cells). These epitheloid cells are located in the media of the afferent arterioles as they enter the glomeruli. The membrane-lined secretory granules in them have been shown to contain renin. Renin is also found in agranularlacis cells that are located in the junction between the afferent and efferent arterioles, but its significance in this location is unknown. Ref: Ganong's Review of Medical Physiology 23rd edition, Chapter 39.